Amyloidosis of kidney may be seen in the following except -
1. Enteric fever
2. Ulcerative colitis
3. Suppurative lung disease
4. Hansen's disease

Correct answer: 1. Enteric fever

Explanation: TEXT BOOK OF PATHOLOGY HARSH MOHAN 6THEDITION PG NO 86 Secondary/Reactive (AA) Systemic Amyloidosis The second form of systemic or generalised amyloidosis is reactive or inflammatory or secondary in which the fibril proteins contain AA amyloid. Secondary or reactive amyloidosis occurs typically as a complication of chronic infectious (e.g. tuberculosis, bronchiectasis, chronic osteomyelitis, chronic pyelonephritis, leprosy, chronic skin infections), non-infectious chronic inflammatory conditions associated with tissue destruction (e.g. autoimmune disorders such as rheumatoid arthritis, inflammatory bowel disease), some tumours (e.g. renal cell carcinoma, Hodgkin's disease) and in familial Mediterranean fever, an inherited disorder (discussed below). Secondary amyloidosis is typically distributed in solid abdominal viscera like the kidney, liver, spleen and adrenals. Secondary reactive amyloidosis is seen less frequently in developed countries due to containment of infections before they become chronic but this is the more common type of amyloidosis in underdeveloped and developing countries of the world. Secondary systemic amyloidosis can occur at any age including children. AA amyloid occurs spontaneously in some birds and animals; it can also be experimentally induced in animals.